Which of the following is true of psoriatic arthritis-
1. Involves distal joints of hand and foot
2. Pencil in cup deformity
3. Sacroilitis
4. All of the above

Correct answer: 4. All of the above